IQ=49
1. Mild MR
2. Moderate MR
3. Severe MR
4. Profound MR

Correct answer: 2. Moderate MR

Explanation: WHO classification of Mental retardation(MR) mild MR...IQ 50-70 moderate MR ...35-49 severe MR..IQ 20-34 profound MR...IQ under 20 ref; (page no;637) 25th edition of PARK's textbook of Preventive and Social medicine